Low voltage in ECG indicates?
1. Pulmonary embolism
2. Cor pulmonale
3. Infective endocarditis
4. Pericardial effusion

Correct answer: 4. Pericardial effusion

Explanation: ANSWER: (D) Pericardial effusionREF: Harrison 17th ed chapter 221Low voltage is indicative of conditions where the electrical signal from the heart is attenuated either because of a heart condition in itself or because of conditions outside the heart. Possible reasons Include:Pericardial effusionConstrictive pericarditisSevere Ischemic heart diseaseInfiltrative disease, e.g. amyloidosisHypothyroidismPulmonary emphysemaPleural effusionPneumothoraxGeneralized edema